Consent for physical examination is given at
1. 10 yrs
2. 12 yrs
3. 14yrs
4. 16yrs

Correct answer: 2. 12 yrs

Explanation: Medicolegal significance of various ages 7 months- viability 1 year- infanticide 10 years- kidnapping for movable properties 12 yrs- consent for physical examination, definitely responsible for crime. 14 yrs- employment, Indian factory act 15 yrs- intercourse by husband with wife is rape. 16 yrs- kidnapping a minor boy 18 yrs- attains majority and rights of a major, age for vote, consent for major surgery 21 yrs- importation of foreign girl for illicit intercourse, age of marriage for male attains majority under courts Guardianship. Ref: FORENSIC MEDICINE AND TOXICOLOGY Dr PC IGNATIUS THIRD EDITION PAGE 95